Rotation of the stomach during development results in movement of the left vagus nerve from its original position. Through approximately how many degrees of rotation does the nerve move, and what is its final position?
1. 90deg to become the anterior vagal trunk
2. 90deg to become the posterior vagal trunk
3. 270deg to become the anterior vagal trunk
4. 270deg to become the posterior vagal trunk

Correct answer: 1. 90deg to become the anterior vagal trunk

Explanation: Rotation of the gut tube is a major event in the development of the gastrointestinal system. Parts of the tube rotate 270deg, but the proximal foregut, specifically that portion that forms the esophagus, rotates only 90deg. Looking from below (the standard CT or MRI view), this rotation is counterclockwise. This brings the left vagus nerve onto the anterior surface of the esophagus as it passes through the thorax.